Inheritance pattern of ABO blood group system is -
1. Pseudodominance
2. Autosomal dominant
3. Autosomal recessive
4. Codominance

Correct answer: 4. Codominance

Explanation: Ans. is 'd' i.e., Codominance